Which of the following is not true about the difference between congenital cataract surgery and senile cataract surgery?
1. Incidence of Posterior capsular opacification is higher
2. Incidence of glaucoma is higher
3. The energy used in phacoemulsification is higher.
4. The chances of refractive surprise is higher.

Correct answer: 3. The energy used in phacoemulsification is higher.

Explanation: The energy used in phacoemulsification is lesser as compared to the senile cataract. Congenital Cataract Surgery Treatment of choice: Lens aspiration by manual SICS technique or by phaco-emucification technique. Lensectomy can be done in total cataract with retinal detachment or ROP or any congenital retinal condition where lens aspiration can't be done. IOL should be put in every child above 2 yrs of age and even in less than 2 year of age, less than 6 month avoid putting IOL. A unilateral cataract has to be operated asap.(within days) Note- Bilateral dense cataracts-removed early that is within 6 weeks of birth to prevent stimulus deprivation amblyopia. Extra edge: - In congenital cataract surgeries, Ziegler knife is used to open lens capsule & aspirate lens material. ZIEGLER KNIEF